Inferior epigastric artery forms the boundary of
1. Femoral triangle
2. Hesselbach’s triangle
3. Adductor canal
4. Popliteal triangle

Correct answer: 2. Hesselbach’s triangle

Explanation: HESSELBACH'S TRIANGLE:-
Boundaries-
1. Medially-Lateral border of rectus abdominis
2. Laterally- inferior epigastric artery.
3. Base - inguinal ligament.
FEMORAL TRIANGLE:-
Triangular depression in front of the upper one-third of the thigh immediately below the inguinal ligament.
BOUNDARIES:-
1. Laterally: medial border of Sartorius.
2. Medially: medial border of adductor longus.
3. Base: inguinal ligament.
4. Apex: directed downwards.formed by the point where the medial and lateral boundaries cross.apex is continuous with the adductor canal.
5. Roof: skin, superficial fascia and deep fascia. Superficial fascia contains superficial inguinal lymph nodes, a femoral branch of the genitofemoral nerve, branches of ilioinguinal nerve, superficial branches of the femoral artery with accompanying veins and the upper part of the great saphenous vein.
6. Floor: medially by adductor longus and pectineus, and laterally by the psoas major and iliacus.
 
CONTENTS:-
1. Femoral artery and its branches.-
        Superficial branches-superficial external pudendal, Superficial epigastric and Superficial circumflex iliac
        Deep branches-profunda femoris, muscular branches and deep external pudendal
2. Femoral vein and its tributaries
3. Femoral sheath
4. Femoral nerve
5. Nerve to pectineus
6. Femoral branch of genitofemoral nerve.
7. The lateral cutaneous nerve of thigh.
8. Deep inguinal lymph nodes.
The vein is medial to the artery (base)
Vein posteromedial to the artery (apex)